Hernia not related to abdominal wall:-
1. Amyand's hernia
2. Richter's hernia
3. Little's hernia
4. Peterson hernia

Correct answer: 4. Peterson hernia

Explanation: Amyand's hernia - content is appendix Little's hernia - content is Meckel's diverticulum Richter's hernia - Herniation of part of circumference of bowel - Mimics acute gastro enteritis Peterson hernia - Type of internal hernia - Hernia behind Roux - LIMB, After Roux-en-y gastrojejunostomy